Which of the following is not true for silver sulfadiazine?
1. The concentration used is 1%
2. It is used for preventing infections at burnt surfaces
3. It can used for treating established infections at burnt surfaces
4. It is active against Pseudomonas

Correct answer: 3. It can used for treating established infections at burnt surfaces

Explanation: SILVER SULFADIAZINE It is used topically as 1% cream. It is active against a large number of bacteria and fungi, even those resistant to other sulfonamides e.g. Pseudomonas It slowly releases silver ions, major active anti-microbial component It is highly effective at preventing infections of burnt surfaces It is not good for treatment of established infections